Patient treated at home is allotted what color code according to IMNCI color coding -
1. Pink
2. Red
3. Green
4. Yellow

Correct answer: 3. Green

Explanation: Ans. is 'c' i.e., Green